Superficial incision on posterior triangle of neck lead to
1. Difficulty in shrugging of shoulder
2. Difficulty in start of abduction
3. Difficulty in rotation of face towards the same side
4. Difficulty in flexion

Correct answer: 1. Difficulty in shrugging of shoulder

Explanation: The posterior triangle or the side of the neck contains the accessory nerve, external jugular vein, the cervical plexus and proximal parts of the brachial plexus of nerves supplying the upper limb. Injury to the spinal accessory nerve not only results in debilitating trapezius dysfunction, but can also result in chronic pain and debilitation with prolonged shoulder girdle dysfunction.90 It usually presents after diagnostic lymph node biopsies of the posterior triangle of the neck, with an incidence of 3% to 8%. Ref - sciencedirect.com